In right lateral rectus palsy all of the following are seen except -
1. Face turned to left
2. Medial convergent squint.
3. Inability to abduct right eye
4. Diplopia

Correct answer: 1. Face turned to left

Explanation: In paralysis of an extraocular muscle head is turned towards the direction of the muscles as the action of muscle is lost and the patient tries to compensate by turning the head in the direction of the action of the paralysed muscle. In this question, right lateral muscle is paralysed; therefore the head will be turned towards right as abduction of right eye is not possible.
Lateral rectus palsy causes convergent squint.
There may be diplopia while looking in the direction of action of paralysed muscle. For example in right lateral rectus palsy, diplopia will occur in right gaze as in this position right lateral rectus and left medial rectus act in conjugation. So, left medial rectus will act normally which will cause normal adduction (right sided) movement of left eye, while right lateral rectus (paralysed) will not cause abduction (right sided) movement of right eye. This will result in mismatch in the visual axis of both eyes which will cause diplopia.